Phenothiazines are used to:
1. Produce muscle relaxation
2. Alter psychotic behaviour
3. Suppress coughing
4. Produce analgesia

Correct answer: 2. Alter psychotic behaviour